A group of 7 experts discussing and interacting about a topic in front of large audience is known as?
1. Workshop
2. Symposium
3. Seminar
4. Panel discussion

Correct answer: 4. Panel discussion

Explanation: A panel discussion is designed to provide an opportunity for a group to hear several people knowledgeable about a specific issue or topic present information and discuss personal views. A panel discussion may help the audience further clarify and evaluate their positions regarding specific issues or topics being discussed and increase their understanding of the positions of others. A workshop describes an office or conference room meeting intended to create or generate plans, analysis, or design to support organizational efforts. Symposium is ameeting or conference for discussion of a topic, especially one in which the participants form an audience and make presentations. Seminar is asmall group of advanced students in a college or graduate school engaged in original research or intensive study under the guidance of a professor who meets regularly with them to discuss their reports and findings.